Emporiatrics is study of
1. Bioterrorism agents
2. Tropical diseases
3. Health of International travelers
4. International health agencies

Correct answer: 3. Health of International travelers

Explanation: Emporiatrics: Study of Health of international travelers. Mainly for yellow fever. Validity of vaccine certificate of yellow fever is 10 days - life long. Quarantine period - 6 days